Most common cause of pyelonephritis in pregnant women?
1. E. Coil
2. Klebsiella
3. N, gonorrhea
4. S. aureus

Correct answer: 1. E. Coil

Explanation: ANSWER: (A) E.coliREF: Harrisons 17th Ed Pg 1820-1823, Harrison 18th edchapter 288See Microbiology 2013 Session 1 for details of UTIUncomplicated UTI refers to acute cystitis or pyelonephritis in nonpregnant outpatient women without anatomic abnormalities or instrumentation of the urinary tract; complicated UTI is a catch-all term that encompasses all other types of UTI. The spectrum of agents causing uncomplicated pyelonephritis is similar, with E. coli predominating.In complicated UTI (e.g., CAUTI), E. coli remains the predominant organism, but other aerobic gram-negative rods, such as Klebsiella species, Proteus species, Citrobacter species, Acinetobacter species, Morganella species, and Pseudomonas aeruginosa, also are frequently isolated. Gram-positive bacteria (e.g., enterococci and Staphylococcus aureus), and yeasts are also important pathogens in complicated UTI.